One bottle system of adhesive resins
1. 4th generation bonding agents
2. Separate etching step not required
3. Separate etching step is still required
4. Contains only primer

Correct answer: 3. Separate etching step is still required